Insulin increases the entry of glucose into
1. All tissues
2. Renal tubular cells
3. The mucosa of the Small intestine
4. Skeletal muscle

Correct answer: 4. Skeletal muscle

Explanation: GLUT 4 Is the insulin-regulated glucose transporter. Responsible for insulin-regulated glucose storage. And the GLUT 4 is found in adipose tissues and striated muscle (skeletal muscle and cardiac muscle).Ref: Ganong's review of medical physiology;24th edition; page no-434